A 9- years old child has steroid dependant nephrotic syndrome for the last 5 years. He has received corticosteroids almost continuously during this period and has Cushingoid features. The blood pressure is 120/86 mmHg and there are bilateral subcapsular cataracts. The treatment of choice is:
1. Levamisole.
2. Cyclophosphamide.
3. Cyclosporin A.
4. Intravenous pulse corticosteroids.

Correct answer: 2. Cyclophosphamide.

Explanation: Ans. is 'b' i.e. cyclophosphamide If a child with nephrotic syndrome on steroid develops features of corticosteroid toxicity (cushingoid features, hypertension, cataract and growth failure) then cyclophosphamide should be used.